Metyrapone inhibits-
1. 11-B-hydroxylase
2. 21-B-hydroxylase
3. Both
4. None

Correct answer: 1. 11-B-hydroxylase

Explanation: mineral I cortical is specificially achieved by local metabolism of cortisol to inactive compound cortisone by 11B hyroxylase which is inhibited by metyrapone ( Harrison 17 pg 2248)